Investigation of choice in obstructive jaundice is:
1. ERCP
2. Ultrasound
3. Cholecystography
4. X-ray

Correct answer: 2. Ultrasound

Explanation: Ans. Ultrasound